Which of the following is a wrong association -
1. HPV - CaCx
2. EBV - Burkitt's lymphoma
3. HHV 8 - Kaposi sarcoma
4. CMV - Nasophaiyngeal carcinoma

Correct answer: 4. CMV - Nasophaiyngeal carcinoma

Explanation: Ans. is 'd' i.e., CMV-Nasopharyngeal carcinoma Association of viruses with human cancers (Jawetz)Virus familyVirusHuman cancerPapillomaviridaeHuman papillomavirusesGenital tumors Squamous cell carcinoma Oropharyngeal carcinomaHerpesviridaeEB virusNasopharyngeal carcinoma Burkitt's lymphoma Hodgkin's disease B cell lymphoma Human herpesvirus 8Kaposi's sarcomaHepadnaviridaeHepatitis B virusHepatocellular carcinomaRetroviridaeHTL virusAdult T cell leukemia Human immunodeficiency virusAIDS related malignanciesFlaviviridaeHepatitis C virusHepatocellular carcinoma